Anti-double stranded DNA is highly specific for -
1. Systemic sclerosis
2. S.L.E.
3. Polymyositis
4. Rheumatic sclerosis

Correct answer: 2. S.L.E.